Congenital toxoplasmosis - False is -
1. Diagnosed by detection of IgM in cord blood
2. IgA is more sensitive than IgM for dtection
3. Dye test is gold standard for IgG
4. Avidity testing must be done to differentiate between IgA & IgM

Correct answer: 4. Avidity testing must be done to differentiate between IgA & IgM

Explanation: Congenital infection during the first trimester of pregnancy may cause abortion or still birth.Second and third trimester infections induce less severe neurological damage. Cerebral calcification +convulsions +retinochoroiditis (refer pgno:67 baveja 3 rd edition)